Post exposure vaccine of rabies already immunised patient is ?
1. 0-3
2. 0-3-14
3. 0-7-28
4. 8-04-0-1-1

Correct answer: 1. 0-3

Explanation: - for post - exposure treatment of person who have been vaccinated for rabies previously is given rabies vaccine on days 0 and 3 intradermally or 1 dose delivered intramuscularly. Reference : Park's textbook of preventive and social medicine, 23rd edition, pg no:280